A patient has hyperphosphatemia with short metacarpals and associated cataract. The diagnosis is:
1. Pseudohypoparathyroidism
2. Hypophophatasia
3. Hyperparathyroidism
4. Osteomalacia

Correct answer: 1. Pseudohypoparathyroidism

Explanation: Answer is A (Pseudohypoparathyroidism): The presence of hyperphosphatemia (Serum phosphate) along with characteristic brachydactyly suggests the diagnosis of pseudohypoparathyroidism. Pseudohypoparathyroidism This is a hereditary disorder associated with symptoms and signs of hypoparathyroidism despite an elevated PTH level (pseudohypoparathyroidism) This is produced as a result of deficient end organ response to PTH.